A floppy infant was brought after being given honey by pacifier. Vitals were WNL. Hand holding and tone in extremities were absent. Probable diagnosis:
1. Clostridium perfringens food poisoning
2. Bacillus cereus food poisoning
3. Salmonella food poisoning
4. Clostridium botulinum food poisoning

Correct answer: 4. Clostridium botulinum food poisoning

Explanation: Ans. D. Clostridium botulinum food poisoningClostridium botulinum food poisoning occurs from infected honey used in pacifiers, leading to flaccid paralysis (absent tone in muscles)